Each hemoglobin contains
1. 2 polypeptide chains with 2 heme
2. 4 polypeptide chains with 2 heme
3. 2 polypeptide chains with 4 heme
4. 4 polypeptide chains with 4 heme

Correct answer: 4. 4 polypeptide chains with 4 heme

Explanation: Hemoglobin is a globular molecule made up of four subunits. Each subunit contains a heme moiety conjugated to a polypeptide. Heme is an iron-containing porphyrin derivative. The polypeptides are referred to collectively as the globin portion of the hemoglobin molecule. There are two pairs of polypeptides in each hemoglobin molecule. Reference: Ganong's review of Medical Physiology; 25th ed; Page: 557